Vitremer is?
1. Resin modified GIC
2. Metal modified GIC
3. Organically modified composite
4. Polyacid modified composite

Correct answer: 1. Resin modified GIC